Cicatrising alopecia with perifollicular blue-gray patches hyperpigmentation is most commonly associated with:
1. Pitting of nails
2. Whitish lesions in the buccal mucosa
3. Arthritis
4. Discoid plaques in the face

Correct answer: 2. Whitish lesions in the buccal mucosa

Explanation: B i.e. Whitish lesions in the buccal mucosa Cicatrising alopecia with perifollicular erythema / hyperpigmentation/ hyperkeratosis & scaleQ are seen in lichen planus (lichen planopilaris or spinosus et folliculitis decalvans). Whereas, Ciratrising alopecia with follicular accentuation/ widening/ dilation and keratotic plugging (i.e dilated hyperpigtnented follicular orifices)Q. are seen in DLE.